Ifosfamide belong to which class?
1. Alkylating agent
2. Antimetabolite
3. Taxanes
4. Antibiotics

Correct answer: 1. Alkylating agent